Modified wheeler's operation is done for
1. Entropion
2. Ectropion
3. Symblepharon
4. Ankylobelpharon

Correct answer: 1. Entropion

Explanation: Entropion management

Jones, Reech and wobing operation
Modified wheeler's operation
Weiss operation
Bick's operation.